Which organism is considered as normal flora conjunctiva?
1. B.Proteus
2. Pseudomonas
3. E coli
4. Corynebacterium xerosix

Correct answer: 4. Corynebacterium xerosix

Explanation: Answer- D. Corynebacterium xerosix